Which of the following is false regarding endemic bladder stones?
1. Always associated with recurrence
2. High incidence in cereal based diet
3. Peak incidence in 3 years old children in India
4. Most common type is ammonium urate or calcium oxalate

Correct answer: 1. Always associated with recurrence

Explanation: PRIMARY BLADDER CALCULI (ENDEMIC BLADDER CALCULI) Mainly seen in underdeveloped countries (North Africa, Thailand, Myanmar, Indonesia), in pediatric age group. Most common in children <10 Years, with a peak incidence at 2 to 4 years of age. Related to chronic dehydration and low protein, low phosphate, exclusive milk & high carbohydrate diet. Low phosphate diet Increases urinary ammonium excretion leading to ammonium urate stones Treatent Small stones: Removed or crushed transurethral electrohydraulic lithotripsy or Cystolithotomy. Primary bladder calculi rarely recur after treatment.